Treatment of choice in hairy cell leukemia is:
1. Steroid
2. Cladribine
3. Splenectomy
4. Pentostatin

Correct answer: 2. Cladribine

Explanation: Answer is B (Cladribine) "The treatment of choice is Cladribine Q (2 chlorodoxy adenosine) 0.14 mg /kg daily for 7 days" - CMDT This is a relatively non-toxic drug that produces benefit in 95% of cases, and complete remission in more than 80%